Thornwaldt's abscess FALSE is-
1. Antibiotics
2. Marsupialization
3. Removal of lining
4. Antihistaminics

Correct answer: 4. Antihistaminics